Which of the following is false about development milestones at 6 months of age?
1. watching self in mirror
2. sitting in tripod position
3. pincer grasp
4. monosyllable sounds

Correct answer: 3. pincer grasp

Explanation: O.P. Ghai 8th ed, page 49 Pincer grasp is seen at 9 months.